Mid point from sella to bolton point is
1. Registration point
2. Basion
3. Nasion
4. Condylion

Correct answer: 1. Registration point